The most common site of acute aortic dissection is:-
1. Right lateral wall of ascending aorta
2. Arch of aorta
3. Suprarenal abdominal aorta
4. Infrarenal abdominal aorta

Correct answer: 1. Right lateral wall of ascending aorta

Explanation: AORTIC DISSECTION Aortic dissection is caused by circumferential or, less frequently, transverse tear of the intima. MC site: Right lateral wall of the ascending aorta Another common site: Descending thoracic aorta (just below the ligamentum arteriosum). Peak incidence: 6th and 7th decades.